Critical illness related corticosteroid insufficiency is seen in ?
1. Addison's disease
2. Septic shock
3. Acute MI
4. CVA

Correct answer: 2. Septic shock

Explanation: due to arterial hypotension( Harrison 17 pg 2263)